First case in an epidemic is called
1. Index case
2. Primary case
3. First case
4. None of the above

Correct answer: 2. Primary case

Explanation: .the first case in an epidemic is called primary case.and the first case that comes to the notice of a clinician is called index case. ref:park's textbook,ed 22,pg no 34